A person suffering from polycythemia vera full** extreme itching after taking hot bath. This may be due to
1. Elevated levels of Basophils
2. Elevated levels of Neutrophils
3. Elevated levels of Eosinophils
4. Decreased levels of nonocytes

Correct answer: 1. Elevated levels of Basophils

Explanation: Solution